Fluidity buffer present in cell membrane is
1. Stearic acid
2. Palmitic acid
3. Cholesterol
4. Linoleic acid

Correct answer: 3. Cholesterol

Explanation: Membrane fluidity
Membrane fluidity changes with temperature Transition temperature (Tm)
“More is the Tm,less is the fluidity”
Cholesterol-Fluidity buffer
Saturated FAs
increase Tm and decrease fluidity Unsaturated FAs
decrease Tm and increase fluidity